Which of the following cancer is least associated with genetic and familial causes
1. Ovarian
2. Prostate
3. Lung
4. Breast

Correct answer: 3. Lung